All the following are the examples of enveloped viruses except:
1. Adenovirus
2. Coronavirus
3. Molluscum contagiosum virus
4. Herpes virus

Correct answer: 1. Adenovirus

Explanation: Option1 : Adenovirus is the example of non-enveloped DNA viruses. Option 2: Coronavirus is an Enveloped RNA virus. Option 3: Molluscum contagiosum virus is an Enveloped DNA virus. Option 4: Herpes virus is an Enveloped DNA virus. Other Enveloped DNA viruses: HBV, HSV, VZV, CMV, Poxviruses. Enveloped RNA virus: Flavivirus, Togavirus, Coronavirus, Retrovirus, Paramyxovirus, Rhabdovirus, Filovirus, Orthomyxovirus, Bunyavirus, Arenavirus.